All are true regarding Hantavirus except:
1. DNA virus
2. Carried by rodents
3. Causes recurrent respiratory infection
4. Hemorrhagic manifestation may occur

Correct answer: 1. DNA virus

Explanation: Ans. is 'a' i.e., DNA virus(Ref: Ananthanarayan, 9th/e, p. 527 and 8th/e, p. 522)* It is a RNA virus belonging to family Bunyaviridae.* Transmission is from rodent to rodent and rodent to human is primarily respiratory, by inhalation of the virus contained in dried excreta.* Hantavirus species are natural pathogens of rodents - field mice being the major host.* Disease caused by Hantaviruses:- Milder epidemic nephritis.- Serious epidemic hemorrhagic fever.- Hantavirus pulmonary syndrome.